Not true about gas gangrene:
1. Most common cause is Cl perfringens
2. Extensive necrosis of muscles
3. Cl perfringens produce heat-labile spores
4. Metronidazole is the drug of choice

Correct answer: 4. Metronidazole is the drug of choice

Explanation: Ans. is. 'd' i. e. Metronidazole is the drug of choice